Ultrastructural finding of irreversible injury is:
1. Ribosomal detachment from endoplasmic reticulum
2. Amorphous densities in mitochondria
3. Formation of phagolysosomes
4. Cell swelling

Correct answer: 2. Amorphous densities in mitochondria

Explanation: . Amorphous densities in mitochondria